Preventive Resin Restoration are indicated in
1. Non cavitated pit and fissures
2. Deep caries to prevent progress of lesion
3. Cavitated fissures which require restoration
4. Wide cavity to prevent cusp fracture

Correct answer: 3. Cavitated fissures which require restoration

Explanation: Preventive resin restoration (PRR) is a thin, resin coating applied to the deep pits and grooves or cavitated fissures of young permanent teeth. Simonsen in 1978 described this technique. In addition to restoring the caries, the remaining pits and fissueres are protected with sealants. PRR is also called as conservative adhesive resin restoration.
Depending on the extent and depth of the lesion, there are 3 types of PRR:
Type A- Suspicious pits and fissures where caries is limited to enamel.
Type B- Incipient lesion extending into dentin that is small and confined
Type C- Deep caries thereby requiring greater exploratory preparation in dentin.